Post-term pregnancy is the pregnancy which continues beyond:
1. 274 days
2. 284 days
3. 294 days
4. 304 days

Correct answer: 3. 294 days

Explanation: The pregnancy which exceeds 294 days(42 weeks) or more from the first day of the last menstrual period is known as prolonged or post term pregnancy.